Which of the following scale is used for quantitative data-
1. Nominal
2. Ordinal
3. Interval
4. Dichotomus

Correct answer: 3. Interval

Explanation: Level of measurement or scale of measure is a classification that describes the nature of information within the values assigned to variables.Psychologist Stanley Smith Stevens developed the best-known classification with four levels, or scales, of measurement: nominal, ordinal, interval, and ratio. The interval type allows for the degree of difference between items.